What is the usual suction time of tracheostomy tube?
1. 10-15 seconds
2. 45 seconds
3. 60 seconds
4. 30 seconds

Correct answer: 1. 10-15 seconds

Explanation: Minimal time should be taken for suctioning to minimize the time period of ventilator disconnect . 10 secs is enough time for suctioning.